Excess dietary intake of carbohydrates increases the RDA level of:
1. Thiamine
2. Vit E
3. Vit C
4. Pantothenate

Correct answer: 1. Thiamine

Explanation: Thiamine is needed for only 4 enzymes in the body.They are:- Pyruvate dehydrogenase a keto glutarate dehydrogenase Transketolase Branched chain ketoacid dehydrogenase. Branched chain ketoacid dehydrogenase is involved in the metabolism of amino acids Rest all the 3 enzymes are involved in carbohydrate metabolism. So, increased carbohydrate intake increases the requirement of thiamine also. Transketolase enzyme estimation is used in thiamine deficiency